Decrease lactation seen in :
1. Maternal anxiety
2. Breast abscess
3. Cracked nipple
4. All

Correct answer: 4. All

Explanation: All a,b and c Maternal anxiety; Cracked nipple; Breast abscess; and Bromocriptine therapy Causes of Inadequate milk production (lactation failure) Infrequent suckling. Depression or anxiety state in puerperium Reluctance or apprehension to nursing. Poor development of nipples/retracted nipple. Painful breast lesion viz cracked nipple/ breast abscess. Endogenous suppression of prolactin. Prolactin inhibition (ergot preparation, diuretics, pyridoxine, bromocriptine).